Vibrio parahaemolyticus food poisoning is caused by ingestion of -
1. Eggs and Poultry products
2. Raw vegetable
3. Cat fish, shell fish, seafood
4. Milk products

Correct answer: 3. Cat fish, shell fish, seafood